Acrid smell or pear smell is seen in:
1. Ether
2. Paraldehyde
3. Nitrobenzene
4. Carbolic acid

Correct answer: 2. Paraldehyde

Explanation: Ans. B. Paraldehyde (Ref: Reddy 3-e p507)Acrid smell or pear smell is seen in paraldehyde and chloral hydrateQ poisoning"Paraldehyde is a clear colorless liquid with an ethereal odour and acrid taste. It is used as a hypnotic by mouth rectum or parenterally as a basal anesthetic. "Characteristic Odours produced by ToxinsOdourToxinsAcrid (Pear smell)* ParaldehydeQ, Chloral hydrateQBitter almonds* CyanideQBurnt rope* Marijuana (Cannabis) QDisinfectant* Phenol (Carbolic acid), CreosoteGarlic* PhosphorusQ, Tellurium, Thallium * Dimethyl sulfoxide (DMSO)Fish or raw liver (Musty)* Zinc phosphideQ, Aluminum phosphideQKerosene like* OrganophosphateMint* Methylsalicyiate (Oil of Wintergreen), MentholMothballs* Naphthalene. Camphor, p-dichlorobenzenePepper* o-chlorobenzylidene malonitrile (Tear gas)Rotten eggs* Hydrogen sulphideQ, Carbon disulphideQ* Mercaptans DisulfiramQ, N-acetylcysteineQShoe polish* NitrobenzeneVinegar* Acetic acidQ; Hydrofluoric acid